The use of kinematic face bow is contraindicated in the
edentulous patients because
1. It has to be used on the mandibular ridge
2. Recording base may be unstable on the edentulous mandible
3. Movement of bases may lead to inaccuracy in recording hinge axis
4. All of the above

Correct answer: 4. All of the above